Rule of 9 in burns is used to denote:
1. Depth of burns
2. Total body surface area involved
3. Severity of burns
4. Type of burns

Correct answer: 2. Total body surface area involved

Explanation: Ans. Total body surface area involved